Subconjuctival haemorrhage occurs in all conditions except
1. Passive venous congestive
2. Pertussis
3. High intraocular tension
4. Trauma

Correct answer: 3. High intraocular tension

Explanation: Causes of subconjuctival haemorrhage are Passive venous congestion Pertussis Trauma Hypertension Bleeding diathesis Refer: Khurana 6th edition page number 76